McNaughten Rule is concerned with :
1. Criminal responsibility
2. Litigation
3. Rape
4. Suicide

Correct answer: 1. Criminal responsibility

Explanation: A i.e. Criminal responsibility